In porphyra cutanea tarda the type of porphyrin excreted in urine is
1. Coproporphyrin - I
2. Uroporphyrin - I
3. Uroporphyrins - II
4. Type I & III uroporphyrins

Correct answer: 4. Type I & III uroporphyrins

Explanation: Porphyria cutanea tarda is also known as cutaneous hepatic porphyria. The partial deficiency of enzyme Uroporphyrinogen decarboxylase is responsible for the occurrence of porphyria cutanea tarda. Hence there is an increased excretion of uroporphyrins 1 and 3